Vitamin used for post translational modification of glutamic acid to gamma carboxy glutamate is
1. A
2. D
3. E
4. K

Correct answer: 4. K

Explanation: Ref Robbins 9/e p442 ,119. The vitamin K-dependent carboxylase carries out the posttranslational modification of specific glutamate residues in proteins togamma-carboxy glutamic acid (Gla) in the presence of reduced vitamin K, molecular oxygen, and carbon dioxide.